Which type of mutation occurs in sickle cell anemia?
1. Crossover mutation
2. Frameshift
3. Deletion
4. Point mutation

Correct answer: 4. Point mutation

Explanation: Ans. is 'd' i.e., Point mutation o In sickle cell anemia there is missense type of point mutation.Mis-sense mutationso If the base substitution changes the code words, i.e. codon containing the changed base codes for different amino acid, it is called mis-sense mutation . in sickle mutation CTC codon at position 6 of P-globin chain of hemoglobin that codes for glutamic acid is changed to CAC codon that codes for valine.